The APO-B100 and APO-B48 are different lipoproteins due to
1. DNA duplication
2. RNA splicing
3. RNA editing
4. Misreading of m-RNA

Correct answer: 3. RNA editing

Explanation: Apo-B100,one of the largest proteins is a longer version of Apo-B48 Both Apo B proteins are encoded by same gene and produced from same initial RNA transcript. Apo-B48 lacking the LDL receptor binding domain,is generated by this post transcriptional change in m-RNA sequence Reference: Harpers illustrated biochemistry 30th edition